Which of the following anatomic boundary separates the true pelvis from the false pelvis?
1. Linea alba
2. Linea aspera
3. Linea terminalis
4. Linea semilunaris

Correct answer: 3. Linea terminalis

Explanation: Linea terminalis separates true pelvis from false pelvis. The false pelvis lies above this anatomic boundary and true pelvis. The false pelvis is bounded posteriorly by the lumbar vertebra and laterally by the iliac fossa. Linea alba is formed by the fusion of aponeurosis of the muscles of the anterior abdominal wall. It extends as a depression in the midline from the xiphoid process to the pubis symphysis. Linea semilunaris: is the lateral edge of the rectus abdominis muscle. It crosses the costal margin at the tip of the 9th costal cartilage. Linea aspera is a rough vertical ridge seen on the posterior surface of the shaft of the femur. Ref: Cunningham F.G., Leveno K.J., Bloom S.L., Hauth J.C., Rouse D.J., Spong C.Y. (2010). Chapter 2. Maternal Anatomy.